Lipogenesis occurs in
1. Liver
2. Skeletal muscles
3. Myocardium
4. Lungs

Correct answer: 1. Liver

Explanation: DE NOVO SYNTHESIS OF FATTY ACIDSThe process of fatty acid synthesis was studied by Feodor Lynen, who got Nobel prize in 1964. The pathway is referred to as Lynn's spiral. It is not a reversal of oxidation. Fatty acids are synthesized mainly by a de novo synthetic pathway operating in the cytoplasm. So it is referred to as extramitochondrial or cytoplasmicfatty acid synthase system. The major fatty acid synthesised de novo is palmitic acid, the 16C saturated fatty acid. The process occurs in liver, adipose tissue, kidney, brain, and mammary glandsRef: DM Vasudevan - Textbook of Biochemistry, 6th edition, page no: 136